Sexual intercourse between two persons of blood relations called
1. Sexting
2. Incest
3. Indecent assault
4. Paraphilia

Correct answer: 2. Incest

Explanation: Incest sexual intercourse by a man with a woman who is closely related to him by blood,eg daughter, grand-daughter, sister, aunt,cousin,etc Ref: FORENSIC MEDICINE AND TOXICOLOGY Dr PC IGNATIUS THIRD EDITION PAGE 313